Cancers caused by asbestosis all except:
1. Adenocarcinoma of lung
2. Mesothelioma
3. Gastric Ca
4. Pancreatic Ca

Correct answer: 4. Pancreatic Ca

Explanation: Ans. D. Pancreatic CaExplanationAsbestos causes lung, esophageal, gastric, and colon carcinoma; mesothelioma.